Preservative used for toxicological specimen -
1. 20% formalin
2. Saturated sodium chloride
3. 20% alcohol
4. 10% alcohol

Correct answer: 2. Saturated sodium chloride

Explanation: Saturated salt solution → All poisons including carbolic acid, but excluding other acids.
Rectified spirit → Poisoning with all acids except carbolic acid.